The normal range of serum osmolality (in mosm/L) is:
1. 280 to 295
2. 300 to 320
3. 350 to 375
4. 200 to 250

Correct answer: 1. 280 to 295